Which of the following is not included in neuro- axial anesthesia?
1. Spinal block
2. Epidural block
3. Bier's block
4. Caudal block

Correct answer: 3. Bier's block

Explanation: Ans. is 'c' i.e. Bier's block * Central neuraxial block, as the name suggests, it pertains to local anesthetics placed around the nerves of the central nervous system. Examples are spinal anesthesia, Epidural anesthesia and caudal anesthesia.* BIER'S BLOCK or Intravenous regional anesthesia (IVRA) is a form of regional anesthesia used most often for surgery of the forearm and hand.